Tetanus affects trimarily -
1. Presynaptic terminal of spinal cord
2. Post synaptic terminal of spinal cord
3. Neuromuscular junction
4. Muscle fibres

Correct answer: 1. Presynaptic terminal of spinal cord

Explanation: Ans. is 'a' i.e., Presynaptic terminal of spinal cord